Capillary leak syndrome is caused by which of the following drug?
1. Fligrastim
2. Sargramostim
3. Peg filgrastim
4. Darbeptoin

Correct answer: 2. Sargramostim

Explanation: Capillary leak syndrome is usually seen with Sargramostim or GM CSFGM-CSF can cause more severe side effects, particularly at higher doses. These include fever, malaise, arthralgias, myalgias, and a capillary leak syndrome characterized by peripheral edema and pleural or pericardial effusions.G CSF/GM CSF analogs are used for treatment and prevention of cancer chemotherapy-induced anemia, neutropenia, thrombocytopenia etcRef: Goodman Gillman 12th ed. Pg: 1074